Which of the following is functional plasma enzyme-
1. Lipoprotein lipase
2. LDH
3. CPK
4. Lipase

Correct answer: 1. Lipoprotein lipase

Explanation: Ans. is 'a' i.e., Lipoprotein lipase o Functional plasma enzymes:- Lipoprotein lipase, Pseudocholinesterase, clotting factors, e.g. protrombin.o Non-functional plasma enzymes:- ALT (SGPT), AST (SGOT), J-glutamyl transpeptidase, alkaline phosphatase, acid phosphatase, LDH, amylase, CK (CPK).